NADPH oxidase deficiency causes impaired immunity which of the follwoing process?
1. Chedickhigasi syndrome
2. Chronic granulomatous disease
3. Leucocyte adhesion defect type 1
4. Leucocyte adhesion defect type 2

Correct answer: 2. Chronic granulomatous disease

Explanation: Chronic granulomatous disease is a rare, X-linked deficiency of NADPH oxidase activity which drastically impairs the ability of macrophages and neutrophils to destroy pathogens. Patients are especially vulnerable to mycobacteria, E coli, and staphylococcus since these organisms produces catalase to defend themselves against hydrogen peroxide attack by phagocytes.